In a patient with liver cirrhosis, where does portal vein obstruction occur?
1. Portal vein
2. Splenic vein
3. Sinusoids
4. Hepatic vein

Correct answer: 3. Sinusoids

Explanation: In cirrhosis of the liver, portal vein obstruction occur at the level of sinusoids. In cirrhosis there is fibrosis of the liver resulting in architectural distortion with the formation of regenerative nodules. This results in a decrease in hepatocellular mass, its function, and an alteration of blood flow. Complications of cirrhosis includes portal hypertension and its consequences (such as gastroesophageal variceal hemorrhage, splenomegaly, ascites), hepatic encephalopathy, spontaneous bacterial peritonitis (SBP), hepatorenal syndrome, and hepatocellular carcinoma. Ref: Harrison's Internal Medicine, 18th Edition, Page 2598, Chapter 308